Which of the following cytoplasmic structures contains fragmented mitochondria?
1. Pinocytotic vacuoles
2. Primary lysosomes
3. Heterophagosomes
4. Autophagosomes

Correct answer: 4. Autophagosomes

Explanation: Auto phagosomes are lysosome derived phagocytic vacuoles filled with fragments of old or damaged organelles.